Which is the drug of choice for acute gout?
1. Febuxostat
2. Probenecid
3. Rofecoxib
4. Naproxen

Correct answer: 4. Naproxen

Explanation: A.gout IOC = Joint Aspiration Naproxen is also DOC for acute migraine attack & acute gout Allopurinol is contraindicate in Acute Gout